Rotter's lymph nodes are found between
1. Serratus anterior & Trapezius
2. Deltoid & Pectoralis major
3. Pectoralis major and Pectoralis minor
4. Latissimus dorsi and Serratus anterior

Correct answer: 3. Pectoralis major and Pectoralis minor

Explanation: Ans: C. Pectoralis major and Pectoralis minorRotter's lymph nodes - Small interpectoral lymph nodes located between pectoralis major & pectoralis minor muscles.Receive lymphatic fluid from muscles & mammary gland.Delivers lymphatic fluid to axillary lymphatic plexus.